Cysticercosis cellulosae causes infection with
1. Taenia saginata
2. Echinococcus granulosus
3. Taenia solium
4. Diphyllobothrium latum

Correct answer: 3. Taenia solium